Which of the following is used for single dose radical cure of Plasmodium vivax malaria ?
1. TAFENOQUINE
2. ELAGOLIX SODIUM
3. IBALIZUMAB
4. PATISIRAN

Correct answer: 1. TAFENOQUINE

Explanation: TAFEnOQUINE : Single dose for radical cure of P. VIVAX malaria. Administered orally and single dose is sufficient due to long half life (2-3 weeks). Cause hemolysis in G6PD deficiency patients. ELAGOLIX SODIUM : GnRH antagonist Given orally Approved for pain associated with endometriosis Short acting IBALIZUMAB : Monoclonal antibody against CD4 receptor Inhibit fusion of HIV with CD4 receptor on host cells Used in HIV PATISIRAN : Approved for polyneuropathy with hereditary transthyretin mediated amyloidosis. It is small inhibitory RNA